All of the following are true regarding ankylosing spondylitis except:
1. Involvement of sacroiliac joint
2. Most of people are HLAB27 positive
3. 50% of patients may have urinary infection
4. Bamboo spine may be a radiological feature

Correct answer: 3. 50% of patients may have urinary infection

Explanation: Ans. C: 50% of patients may have urinary infection